orbital cellulitis is complication of:
1. para sinusitis
2. Faciomaxillary trauma
3. Endoscopic sinus surgery
4. All of these

Correct answer: 4. All of these

Explanation: Orbital cellulitis can occur as a complication of sinusitis and injuries.As far as endoscopic sinus surgery is concerned,it can lead to orbital and intracranial complications so orbital cellulitis can occurvin it also. Ref Scott Brown 7/e,Vol 2,p 1485.